Structures at the transpyloric plane include all EXCEPT:
1. Fundus of gall bladder
2. Termination of portal vein
3. Hilum of kidneys
4. Pylorus of stomach

Correct answer: 2. Termination of portal vein

Explanation: Ans. (b) Termination of portal vein* The kidneys occupy the epigastric, hypochondriac lumbar and umbilical regions Vertically they extend from the upper border of twelfth thoracic vertebra to the centre of the body of third lumbar vertebra.* The right kidney is slightly lower than the left and the left kidney is a little nearer to the median plane than the right.* The transpyloric plane passes through the upper part of the hilus of the right kidney; and through the lower part of the hilus of the left kidney.Structures at the Level of Transpyloric Plane* Origin of superior mesenteric artery.* Origin of portal vein.* Hilum of left kidney.* Origin of Renal artery.* Termination of spinal cord.* Level of Duodenojejunal flexure